All of the following structures are removed in right hemicolectomy except -
1. Caecum
2. Ascending Colon
3. Transverse colon
4. Hepatic Flexure

Correct answer: 3. Transverse colon

Explanation: Ans. is 'c' i.e., Transverse colon Only a part of transverse colon is removedo Structures removed in right hemicolectomya. Caecum with appendixb. Ascending colonc. Hepatic flexured. Proximal transverse colone. Part of terminal ileumf. Fat and lymphnodeso Right colic artery is ligated